In human body, the action of surfactant is done by
1. Sugar & salt
2. Soap & water
3. Lipid and protein
4. Base and lipid

Correct answer: 3. Lipid and protein

Explanation: Dipalmitoylphoshatidylcholine is a phospholipid which along with proteins acts as surfactant.